Select the neurologic disorder not associated with antiphospholipid antibodies.
1. Demyelinating disease
2. Hemorrhagic stroke
3. Headache
4. Seizures

Correct answer: 2. Hemorrhagic stroke

Explanation: In Antiphospholipid Ab patient can develop antibody induced cerebritis. Antiphospholipid antibodies is a hypercoagulable state -patient will develop ischemic stroke not hemorrhagic. Demyelinating disease: Ab can be attacking myelin sheath & nerve get demylinating. Headache and seizures can also occur in pt. with antiphospholipid antibodies.